EBV receptor mimics ?
1. CD 20
2. CD 21
3. CD 22
4. CD 23

Correct answer: 2. CD 21

Explanation: Ans. is 'b' i.e., CD 21